Surgery for periductal mastitis -
1. Hadfield's operation
2. Patey's mastectomy
3. Modified radical mastectomy
4. None of the above

Correct answer: 1. Hadfield's operation